Index of potency of general anaesthesia
1. Minimum alveolar concentration
2. Diffusion coefficient
3. Dead space concentration
4. Alveolar blood concentration

Correct answer: 1. Minimum alveolar concentration

Explanation: A i.e. Minimum alveolar concentration